Freys syndrome develops secondary to abberant innervation of the skin over parotid by which cranial nerve -
1. IX
2. X
3. XI
4. XII

Correct answer: 1. IX

Explanation: Ans. is 'a' i.e., IX Freys Syndrome* Frey's syndrome (also known as Baillarger's syndrome, Dupuy's syndrome, auriculotemporal syndrome, or Frey-Baillarger syndrome) is a rare neurological disorder resulting from damage to or near the parotid glands responsible for making saliva, and from damage to the auriculotemporal nerve often from surgery.* The postganglionic CN IX fibers are responsible for stimulation of parotid secretion* The interruption of these nerve fibers may lead to gland atrophy.* In some cases of parotidectomy these CN IX fibers are aberrantly reinnervated to the skin, causing gustatory sweating or Frey's syndrome.